Complication of empyema are A/E -
1. Empyema necessitans
2. Bronchopleural fistula
3. Osteomyelitis
4. Pneumonia

Correct answer: 4. Pneumonia

Explanation: Answer is 'd' i.e. Pneumonia Penumonia is the most common cause of empyema and not a complication Complications of Empyema Empyema necessitans (spontaneous decompression of pus through the chest wall) Chronic empyema (with entrapped lung and pulmonary restrictive ds) Osteomyelitis or chondritis of the ribs or vertebrae Pericarditis Mediastinitis Bronchopleural fistula Dissseminated inf. of the central nervous system